Not true about Osteogenesis imperfecta -
1. Impaired healing of fracture
2. Deafness
3. Laxity ofjoints
4. Fragile fracture

Correct answer: 1. Impaired healing of fracture

Explanation: Fractures are usually due to trivial trauma, but surprisingly heal well and fractures may heal without any treatment.
Though fracture heal normally with normal appearing callus, remodelling into natural lamellar bone does not occur, making the long bone susceptible to refracture.